Microalbuminuria is defined as protein level is in the range of:
1. 30-200 mg/day
2. 30-300 mg/day
3. 30-150 mg/day
4. 30-100 mg/day

Correct answer: 2. 30-300 mg/day

Explanation: Microalbuminuria refers to urinary albumin excretion of 30-300 mg/day. It represents the earliest manifestation of diabetic nephropathy and identifies patients at risk for developing overt nephropathy as well as a progressive decline in renal function. Values greater than 300 are referred to as macroalbuminuria. Ref: Taal M.W. (2009). Chapter 22. Slowing the Progression of Chronic Kidney Disease. In E.V. Lerma, J.S. Berns, A.R. Nissenson (Eds), CURRENT Diagnosis & Treatment: Nephrology & Hypertension.